CD 4 are associated with -
1. Helper T cell
2. Supressor T cell
3. NK cells
4. T cell antigen receptor complex

Correct answer: 1. Helper T cell

Explanation: T cells can differentiate into effector cells. Helper (CD4) T-cell activity, in addition to stimulating B cells to produce antibodies, promotes the development of delayed hypersensitivity and thereby also serves in the defense against intracellular agents, including intracellular bacteria (eg, mycobacteria), fungi, protozoa, and viruses. Reff: Ananthanarayanan & Panikers textbook of microbiology 9th edition pg: 135